Which of the following is an X-linked mucopolysaccharidoses?
1. Hurler's syndrome
2. Hunter's syndrome
3. Scheie's syndrome
4. Sanfilippo's syndrome

Correct answer: 2. Hunter's syndrome

Explanation: All mucopolysaccharidoses are autosomal recessive except Hunter's disease which is inherited as X-linked recessive.